Commonest site of branchial cyst:
1. Lower 1/3rd of sternomastoid on anterior border
2. Lower 1/3rd of sternomastoid on posterior border
3. Upper 1/3rd of sternomastoid on anterior border
4. Upper 1/3rd of sternomastoid on posterior border

Correct answer: 3. Upper 1/3rd of sternomastoid on anterior border

Explanation: Ans. C i.e. Upper 1/3rd of sternomastoid on anterior border Branchial cyst MC site: Upper part of neck, Wall is made of: Lymphoid tissue